Most sensitive test for metastatic deposit is:
1. Isotope scan
2. CT scan
3. Skeletal survey
4. Tomography

Correct answer: 1. Isotope scan

Explanation: Ans. Isotope scan